A normal healthy child has a height of 100 cm and weighs 16 kg. What is his most likely age ?
1. 3 years
2. 4 years
3. 5 years
4. 6 years

Correct answer: 2. 4 years